A 56 year old smoker presented with swelling over parotid region. Histology shows papillary structures composed of granular eosinophilic cells, cystic changes, and mature lymphocytic infiltration which is pathognomonic of Warthin tumor. Treatment of choice for warthin's tumor is:
1. Complete excision of the affected portion of the gland with uninvolved margins
2. Enucleation
3. Radiotherapy
4. Injection of a sclerosant agent

Correct answer: 1. Complete excision of the affected portion of the gland with uninvolved margins

Explanation: Warthin tumor is also known as papillary cystadenoma lymphomatosum and is found almost in the parotid gland. It is characterized histologically by papillary structures composed of double layers of granular eosinophilic cells or oncocytes, cystic changes, and mature lymphocytic infiltration. It arises from the ectopic ductal epithelium. This tumor is more commonly seen in males in the fifth to seventh decades of life and there is an associated risk with smokers. The diagnosis of Warthin tumor is based on histologic findings. The treatment is complete excision of the affected portion of the gland with uninvolved margins. Ref: Butt F.Y. (2012). Chapter 18. Benign Diseases of the Salivary Glands. In A.K. Lalwani (Ed), CURRENT Diagnosis & Treatment in Otolaryngology--Head & Neck Surgery, 3e.